Best prognosis of thyroid cancer Is
1. Papillary
2. Medullary
3. Follicular
4. Anaplastic

Correct answer: 1. Papillary

Explanation: Best prognosis — papillary
Worst prognosis – anaplastic